When natal teeth are present the most common and
preferable approach is to:
1. Extract the teeth
2. Grind the sharp incisal edges
3. Take radiograph and determine the status of adjacent unerupted teeth
4. Retain the teeth if possible

Correct answer: 4. Retain the teeth if possible